Which of the following is gold standard for the diagnosis of minimal bronchiectasis
1. Bronchography
2. Plain CT scan
3. X-ray chest
4. CT scan with contrast

Correct answer: 2. Plain CT scan

Explanation: Ans. Plain CT scan